Catheterisation should not be done in case of acute retention of urine due to -a) Benign prostatic hyperplasia (BPH)b) Ca prostatec) Stricture urethrad) Rupture urethrae) Post operative retention
1. cd
2. bc
3. bd
4. ac

Correct answer: 1. cd

Explanation: In cases of urethral stricture, if a patient has gone into retention because of a urethral stricture, the urethra will be too narrow to allow even a tiny catheter to pass safely.
Urethral rupture is a relative contraindication of catheterization, because injudicious urethral catheterization will convert a partial tear into a complete transection of the urethra.